Trauma from occlusion refers to
1. Occlusion which causes trauma
2. Abnormally of the periodontium
3. Changes in periodontium due to occlusal forces
4. Inflammation of periodontium

Correct answer: 3. Changes in periodontium due to occlusal forces